As per WHO classification 'X2' stage of xerophthalmia refers to:
1. Conjunctival xerosis
2. Bitot's spots
3. Corneal xerosis
4. Corneal ulceration

Correct answer: 3. Corneal xerosis

Explanation: Ans. Corneal xerosis